The right gastroepiploic artery is a branch of -
1. Right hepatic artery
2. Gastroduodenal artery
3. Hepatic artery
4. Superior mesenteric artery

Correct answer: 2. Gastroduodenal artery

Explanation: Right gastroepiploic artery → a branch of the gastroduodenal artery, which in turn is a branch of the common hepatic artery.
Left gastroepiploic artery → a branch of the splenic artery.